Anti mitochondrial Ab seen typically in:
1. Primary Biliary cirrhosis
2. Hepatitis B
3. Hepatitis C
4. Hepatitis A

Correct answer: 1. Primary Biliary cirrhosis

Explanation: Primary Biliary cirrhosis is a disease characterized by chronic inflammation and fibrous obliteration of intrahepatic bile duclioles due to an unknown (primary) stimulus.
 
Etiology
PBC is believed to due to an autoimmune etiology as it is often associated with other auto immune disorders such as 
CRCST syndrome: Calcinosis, Raynaud's phenomena, Esophageal dysmotility, Sclero-dactily. Telangiectasia
 
Sicca syndrome
Autoimmune thyroiditis
Renal tubular acidosis
Anti mitochondrial antibody (IgG is positive)
 
Clinical feature
Most patients arc asymptomatic.
Pruritis is commonest/earliest symptom
Jaundice
Deficiency of fat soluble vitamin due to malabsorption leads to:
Vit D deficiency → Bone pain—Osteomyelitis Vit K deficiency → bleeding bruising
Vit A deficiency~»Night Blindness IXanthelisma and Xanthomas arc due to elevation of serum lipids.Lab finding
Increased Serum alkaline phosphates.Positive mitochondrial antibody sensitive and specific.